Which of the following can cause hypoglycemia in a patient of severe cerebral malaria on treatment ?
1. Quinine
2. Chloroquine
3. Halofantrine
4. Mefloquine

Correct answer: 1. Quinine